Hanging cast is used in the management of:
1. Colle's fracture
2. Humeral shaft fracture
3. Fracture both bone forearm
4. Fracture olecranon

Correct answer: 2. Humeral shaft fracture

Explanation: Ans. B: Humeral shaft fracture Hanging cast is used in some cases of the lower third fractures of the humerus Important casts/ braces in orthopaedics: Milwaukee brace: Scoliosis Boston brace: Scoliosis Cylindrical cast: Fracture patella